Treatment of choice for aplastic anaemia is
1. Blood transfusion
2. Oxymethalone
3. Bone marrow transplantation
4. Azathioprine

Correct answer: 3. Bone marrow transplantation

Explanation: The prognosis of severe aplastic anemia managed with supportive therapy is only poor and more than 50% of people die, usually in the first year. The curative treatment for patients under 35 years of age is allogenic hematopoietic stem cell transplantation if there is an available sibling donor. Older patients and those with suitable donors should proced to bone marrow transplantion as soon as possible. Reference : Davidson, 23rd Edition, page no : 969.